Aortic regurgitation may be associated with all of the following except -
1. Ankylosing Spondylitis
2. Marfan's Syndrome
3. Dissection of the aorta
4. Polyarteritis nodosa

Correct answer: 4. Polyarteritis nodosa